Nerve supply of Oropharynx is
1. Glossopharyngeal
2. Vagus
3. Both
4. None

Correct answer: 3. Both